Which of the following is not a recognised form of epiphysis?
1. Traction
2. Atavistic
3. Friction
4. Pressure

Correct answer: 3. Friction

Explanation: There are four types of epiphysis: Pressure epiphysis: The region of the long bone that forms the joint is called Pressure Epiphysis. Traction epiphyses: The regions of the long bone which are non-articular, that is, not involved in the joint formation is called as Traction Epiphysis. Atavistic epiphyses: Fused bones are called as Atavistic. Aberrant epiphyses: These Epiphysis are deviations from the norm and are not always present.